Cataract is caused by ?
1. Hypoparathyroidism
2. Cigrate smoking
3. Non-ionizing radiation
4. All of the above

Correct answer: 4. All of the above

Explanation: Ans. is 'd' i.e., All of the above